Demographic gap attains its maximum limit is
1. Early stage I
2. Late stage II
3. Late stage III
4. Early stage IV

Correct answer: 2. Late stage II

Explanation: Demographic cycle The history of world population since 1650 suggests that there is a . demographic cycle of 5 stages through which a nation passes: (1) FIRST STAGE (High stationary) This stage is characterized by a high birth rate and a high death rate which cancel each other and the population remains stationary. India was in this stage till 1920. (2) SECOND STAGE (Early expanding) The death rate begins to decline, while the birth rate remains unchanged. Many countries in South Asia, and Africa are in this phase. Birth rates have increased in some of these countries possibly as a result of improved health conditions, and shortening periods of breast-feeding (3) THIRD STAGE (Late expanding) The death rate declines still further, and the birth rate tends to fall. The population continues to grow because births exceed deaths. India has entered this phase. In a number of developing countries (e.g., China, Singapore) birth rates have declined rapidly. (4) FOURTH STAGE (Low stationary) This stage is characterized by a low birth and low death rate with the result that the population becomes stationary. Zero population growth has already been recorded in Austria during 1980-85. Growth rates as little as 0.1 were recorded in UK, Denmark, Sweden and Belgium during 1980-85. In short, most industrialized countries have undergone a demographic transition shifting from a high birth and high death rates to low birth and low death rates. (5) FIFTH STAGE: (Declining) The population begins to decline because birth rate is lower than the death rate. Some East European countries, notably Germany and Hungary are experiencing this stage. Demographic cycle is based on : Demographic gap DG = Crude Birth Rate (CBR) - Crude death rate DG starts increasing : Early stage II (Early expanding phase) DG is Maximum : Late stage II (Early expanding phase) DG starts declining : Early stage III (Late expanding PHASE) DG is negative : Stage V (Declining phase) DG is Narrow : Stage I (high Stationary) ; Stage IV (Low Stationary) Ref: Foundations of community Medicine, GM Dhaarb& I Robbani, 1st edition Park 25th edition Pgno : 530